A 39-year-old woman claims that she injured her hand at work. She asserts that the pain caused by her injury prevents her from working. She has no further hand problems after she receives a Rs1 Lakh workers' compensation settlement. This clinical presentation is an example of
1. factitious disorder
2. conversion disorder
3. factitious disorder by proxy
4. malingering

Correct answer: 4. malingering

Explanation: This presentation is an example of malingering, feigning illness for obvious gain (the Rs 1 lakh workers' compensation settlement). Evidence for this is that the woman has no further hand problems after she receives the money. In conversion disorder, somatization disorder, factitious disorder, and factitious disorder by proxy there is no obvious or material gain related to the symptoms